Aseptic autolysis found in -
1. Adipocere
2. Putrefaction
3. Mummification
4. Maceration

Correct answer: 4. Maceration

Explanation: Maceration is aseptic autolysis.